Stain used for tissue fats is?
1. PAS
2. Prussian blue
3. Sudan IV
4. Alcian blue

Correct answer: 3. Sudan IV

Explanation: Ans. is 'c' i.e., Sudan IV * Sudan IV or Oil Red-O are used for lipids both of which impart an orange color to the contained lipids. --Robbins